Whom of the following cannot be an executive magistrate
1. Collector
2. Subcollector
3. Tahsildar
4. SSP

Correct answer: 4. SSP

Explanation: Executive Magistrates are empowered by the State Government such as Collector, Deputy Collector, or Tahsildar{Executive Magistrates}S.176.Cr.P.C. They conduct Magistrate Inquest in cases of Dowry deaths, rape, death in police custody, death in the police investigation, death in police firing, death in mental asylum. Ref: K.S.Narayan Reddy's synopsis of Forensic Medicine and Toxicology, 29th edition, Page 3 & 4.